25 vear old shepherd presents with dragging discomfort in right Hypochondrium and on examination shows presence of enlarged liver 5 cm below costal margins. The probable diagnosis is?
1. Amoebic liver abscess
2. Hydatid cyst
3. Pyogenic liver abscess
4. Hepatic adenoma

Correct answer: 2. Hydatid cyst

Explanation: Ans. (b) Hydatid Cyst* The image shows a CT scan of the liver with classical Cart wheel appearance, suggestive of multiple hydatid cysts. The calcified cysts are left alone as they are dead cysts.* Medical treatment with Albendazole for 21 days is given and surgery is done in case of symptomatic cysts or asymptomatic patient with cyst> 5cm or a non-calcified infected cyst.